Apple core appearance on barium enema is seen in?
1. Carcinoma Colon
2. TB caecum
3. Crohns disease
4. Ulcerative colitis

Correct answer: 1. Carcinoma Colon

Explanation: Ans. (a) Carcinoma ColonRef: Bailey 26th ed. 170* On double contrast barium enema of the rectum and distal sigmoid colon demonstrates a typical annular constricting carcinoma of the colon with overhanging edges on both the proximal and distal margins forming a so called "apple-core" lesion.